Liver biopsy is indicated for diagnosis/evaluation of all EXCEPT?
1. Autoimmune hepatitis
2. Storage disorders
3. Hemangioma
4. Hepatocellular carcinoma

Correct answer: 3. Hemangioma

Explanation: Ans. (c) HemangiomaRef.: Bailey & Love 26th ed. /1083Hemangioma being a vascular tumor is diagnosed by imaging techniques and liver biopsy is contraindicated. Cavernous hemangiomas arise from the endothelial cells that line the blood vessels and consist of multiple, large vascular channels lined by a single layer of endothelial cells and supported by collagenous walls. These tumors are frequently asymptomatic and incidentally discovered at imaging, surgery, or autopsy.